Which of the following is an inhibitor of inflammation?
1. Histamine
2. Lipoxin
3. Leukotriene
4. None of the above

Correct answer: 2. Lipoxin

Explanation: Lipoxins are also generated from AA by the lipoxygenase pathway, but unlike prostaglandins and leukotrienes, the lipoxins are inhibitors of inflammation. Ref: Robbins 8th edition Chapter 2.